Which of the following is metastatic calcification?
1. Psammoma bodies
2. Rheumatic heart disease
3. Milk alkali syndrome
4. Monckeberg's medial calcific sclerosis

Correct answer: 3. Milk alkali syndrome

Explanation: Metastatic calcification occurs when there is raised calcium level.